Treatment of medullary carcinoma thyroid is
1. Surgery and radiotherapy
2. Surgery and TSH supression
3. Surgery only
4. Surgery and Radioiodine ablation

Correct answer: 3. Surgery only

Explanation: MTC can be cured only by complete resection of a primary tumour and local and regional metastases. Total thyroidectomy with prophylactic level VI nodal dissection is done.Because MTC is not of follicular cell origin, TSH suppression and RAI scanning and therapy have no role in MTC.Ref: Sabiston 20e, page no: 910